Psoriasis is exacerbated by-
1. Lithium
2. B- blockers
3. Antimalarials
4. All of the above

Correct answer: 4. All of the above

Explanation: D. i.e. All